Prophylactic craniospinal irradiation is recommended in:
1. Astrocytoma
2. Posterior fossa ependymoma
3. Meningioma
4. Medulloblastoma

Correct answer: 4. Medulloblastoma

Explanation: PROPHYLACTIC CRANIOSPINAL IRRADIATION Prophylactic craniospinal irradiation is useful in CNS malignancy which disseminate CSF or any malignancy with high risk of CNS spreadQ. Common Indications Less Common Indications MedulloblastomaQ GlioblastomaQ GerminomaQ Small cell Carcinoma of LungQ ALLQ Non-Hodgkin's LymphomaQ Leptomeningeal RhabdomyosarcomaQ